Tentative cuts are seen in?
1. Suicide
2. Homicide
3. Accidental cut
4. Traumatic cut

Correct answer: 1. Suicide

Explanation: Ans. (a) SuicideRef: The essentials of FSM by K.S. Narayan Reddy 31st ed. /180* Tentative cuts/Hesitation marks are multiple small superficial cuts seen in cases where there is a trial of suicide.* MC site for tentative cuts are: Forearm